Ocular manifestation of ankylosing spondylitis is:
1. Cataract
2. Retinal detachment
3. Anterior uveitis
4. Glaucoma

Correct answer: 3. Anterior uveitis

Explanation: Ans. C i.e. Anterior uveitis Acute anterior uveitis Associated with: - Juvenile rheumatoid arthritis & - Anklyosing spondylitis Miotic pupil, Treatment: - Steroids (DOC) followed by - Mydriatics, Steroids reduces inflammation & scarring; Dilation of the pupil by atropine: - Reduces pain & - Prevents synechiae formation